Adson's test is positive in -
1. Cervical rib
2. Cervical spondylosis
3. Cervical fracture
4. Cervical dislocation

Correct answer: 1. Cervical rib

Explanation: Adson's test is a provocative test for Thoracic Outlet Syndrome accompanied by compression of the Subclavian artery by a cervical rib or tightened anterior and middle scalene muscles. Ref : Bailey and love surgery text book 27th Ed.